During pleural tapping in the midaxillary line, which of the following muscles is not pierced?
1. External intercostal
2. Internal intercostal
3. Innermost intercostal
4. Transversus thoracis

Correct answer: 4. Transversus thoracis

Explanation: Transversus thoracis is not pierced duirng pleural tapping. Transversus thoracis originates from the lower third of the posterior surface of the sternum, Xiphoid process and costal cartilages of lower 3-4 true ribs. It inserts into the cartilage of the 2nd to 6th rib. It lies anteriorly, not in the mid-axillary line and hencce doesnot get piierced during pleural tapping. It is also called triangularis sternae or sternocostalis. The innermost muscular plane has three named muscles: Innermost intercostals are at the sides of the rib cage. Subcostalis are at the back. Transversus thoracis at the anterior part of the thoracic rib cage. Ref: Gray's Anatomy 41st edition Pgno: 941